In a chronic alcoholic, Wernicke's encephalopathy can be prevented by:
1. I/V saline
2. Large amount of glucose
3. Imipramine
4. Thiamine supplement

Correct answer: 4. Thiamine supplement

Explanation: Ans. D i.e. Thiamine supplement